Aplastic anemia can progress to all except -
1. AML
2. Myelodysplastic anemia
3. Pure red cell aplasia
4. Paroxysmal nocturnal hemoglobinuria

Correct answer: 3. Pure red cell aplasia

Explanation: PNH is the only hemolytic anemia caused by an acquired intrinsic defect in the cell membrane. PNH arises in the setting of aplastic anemia and these patients are at increased risk of developing acute myelogenous leukemia.
Aplastic anemia may progress to PNH and MDS.